Tom-Smith ahritis causes destruction of
1. Upper end tibia
2. Lower end femur
3. Head of femur
4. Greater trochanter

Correct answer: 3. Head of femur

Explanation: Answer-C. Head of femurTom smith ahritis is the septic ahritis of hip joint, occurs in infancy. At this stage head of the femur is cailaginous and is rapidly and completely destroyed by the pyogenic process.On examination : -Limb is shoHip morements are increased in all directions.There is instability with positive telescoping.